Which of the following is a secondary lymphoid organ?
1. Liver
2. Spleen
3. Bone marrow
4. Thymus

Correct answer: 2. Spleen

Explanation: Generative (Central) Lymphoid Organs Thymus: Site of development of T cells Bone marrow: Site of maturation of B lymphocytes Secondary (Peripheral) Lymphoid Organs (in which adaptive immune responses to microbes are initiated) Lymph nodes Spleen Mucosal & Cutaneous lymphoid tissues